Oral contraceptive pills act mainly by ?
1. Production of cervical mucus hostile to sperm penetration
2. Inhibition of ovulation
3. Making endometrium unsuitable for implantation
4. Enhancing uterine contraction to dislodge the fertilized ovum

Correct answer: 2. Inhibition of ovulation

Explanation: Ans. is 'b' i.e., Inhibition of ovulation Mechanism of action of OCPs Inihibition of gonadotropin release from pitutary by reinforcement of normal feedback inhibition --> No prevulatory LH surge --> No ovulation This is the most important mechanism. Thickening of cervical mucus secretion (due to progesterone) hostile to sperm penetration. Even if ovulation and fertilization occur, the blastocyte fails to implant because endometrium is either hyperproliferative or hypersecretory - not suitable for nidation Important in case of postcoital pill. Uterine and tubal contractions may be modified to disour fertilization. Postcoital pills may dislodge a just implated blastocyte or may interfere fertilization/implantation.